Probability of Mr. Ram developing Acute MI in his lifetime is 0.75. What are his Odds of developing Acute MI in his lifetime?
1. 3:01
2. 3:04
3. 4:03
4. 1:03

Correct answer: 1. 3:01